The fibers from contralateral nasal hemiretina project to the following layers of the lateral geniculate nucleus
1. Layers 2,3,5
2. Layers 1,2,6
3. Layers 1,4,6
4. Layers 4,5,6

Correct answer: 3. Layers 1,4,6

Explanation: Ganong's review of Medical Physiology, 25th ed, p 190